The best source of potassium is
1. Whole grains
2. Red meat
3. Dried fruits
4. Milk

Correct answer: 3. Dried fruits